Which of the following is an extrinsic membrane of the larynx?
1. Quadrangular membrane
2. Thyrohyoid membrane
3. Cricothyroid membrane
4. Conus elasticus

Correct answer: 2. Thyrohyoid membrane

Explanation: "Thyrohyoid membrane is an extrinsic membrane of the larynx" Ligaments and membranes of the larynx can be divided into: Extrinsic Intrinsic Ligaments and membranes of larynx Extrinsic Intrinsic Membras - Thyrohyoid membranes - Quadrangular membrane - Cricothyroid membrane - Conus elasticus Ligamens - Median thyrohyoid ligament - Lateral thyrohyoid ligament - Hyoepiglottic ligament - Cricotracheal ligament - Anterior (median) cricothyroid ligament - Thyroepiglottic ligament